Which of the following are/is acceptable types of tooth preparations to receive composite resins as restorative materials?
1. Conventional and bevelled conventional
2. Modified preparation where only the defect is removed
3. Box only or slot preparations
4. All of the above

Correct answer: 4. All of the above

Explanation: The design of the tooth preparation to receive a composite restoration may vary depending on several factors. Five designs of tooth preparations for composite restorations are presented here, and sometimes they willbe used in combination. 
The designs include:
(1) conventional
(2) beveled conventional
(3) modified
(4) box-only
(5) slot preparation designs